Pautriers abscess is mainly composed of which of the following cells
1. Eosinophils
2. Lymphocytes
3. Neutrophils
4. Macrophages

Correct answer: 2. Lymphocytes

Explanation: Pautriers microabscess is a collection of malignant lymphocytes in the epidermis occurring as solid intraepidermal nodules, seen in epitheliotropic lymphomas.